In chronic hyperplastic pulpitis, the response to vitality tests will be
1. Normal response
2. Hyper response
3. Reduced response
4. Normal to hyper response

Correct answer: 3. Reduced response